Shelf life of a drug is:-
1. Time from manufacturing date to expiry date
2. The time after which the drug loses its potency
3. Time in which 93% of drug is eliminated
4. The time after which drug become toxic

Correct answer: 1. Time from manufacturing date to expiry date

Explanation: Shelf life: It is the time for which drug can be sold by the pharmacist. It is calculated as time between expiry date and manufacturing date.